The current permissible maximum storage time and temperature for platelets include
1. 5 days at 1-6o C
2. 5 days at 20-24o C
3. 7 days at 22-24o C
4. 5 days at 25-27o C

Correct answer: 2. 5 days at 20-24o C

Explanation: Platelets are supplied as pooled platelet concentrate. They are stored on a special agitator at 20-24degC. Shelf life--5 days. Indication: Thrombocytopenia, platelet dysfunction. Ref: Bailey and love 27th edition Pg no:21